What age group is the most susceptible to sepsis?
1. Infants.
2. Adolescents.
3. Elderly
4. Young adults.

Correct answer: 3. Elderly

Explanation: Elderly patients are at most risk for developing sepsis because of decreased physiologic reserves and an aging immune system.

Option A: Infants may have less physiologic reserves yet they have vaccines that strengthen their immune system than the elderly.
Option B: Adolescents may not have fully mature reserves yet they have a stronger immune system than the elderly.
Option D: Adolescents may not have fully mature reserves yet they have a stronger immune system than the elderly.